Thiazide cause all except-
1. Hyperuricemia
2. Ototoxicity
3. Hypercalcemia
4. Hypokalemia

Correct answer: 2. Ototoxicity

Explanation: Ans. is 'b' i.e., OtotoxicityComplications of high ceiling (furosamide) diureticso Hypokalemia (M.C)o Acute saline depletiono Dilutional hyponatremiao Alkolosiso Hearing loss (ototoxicity)o Hyperuricemiao Hypocalcemiao Hyperglycemiao Hyperlipidemiao Hypomagnesemiao GI disturbanceso Mental disturbanceso Allergic manifestationsThiazides also have same complications excepto Thiazides cause hypercalcemiao Thiazides may aggravate renal insufficiency,o Thiazides do not cause ototoxicity.Remembero Hypokalemia is less common with loop diuretics than with thiazideso Hypokalemia is prevented and treated by# Concurrent use of K+ sparing diuretics (M.C.) or# High dietary K+ intake or KC1 supplementationo Hyperglycemia and hyperuricemia are more marked with thiazides.